Which of the following is not a side effect of topical beta blockers?
1. Hypoglycemia
2. Asthma
3. Bradycardia
4. Heterochromia iridis

Correct answer: 4. Heterochromia iridis

Explanation: Heterochromia iridis is side effect of PG analogues and not beta blockers. Beta blockers can cause hypoglycemia by blocking adrenaline action on liver to produce glucose